Tocolytics are beneficial in preterm labour because:
1. They arrest preterm labour
2. They decrease prenatal mortality
3. They provide time for antenatal steroids
4. They prolong pregnancy to term

Correct answer: 3. They provide time for antenatal steroids

Explanation: They provide time for antenatal steroids